A known HIV infected patient presents with a non-tender parotid gland swelling. The most likely diagnosis is:
1. B-cell non-Hodgkin's lymphoma
2. Lymphoepithelial cysts
3. Sialectasia
4. Parotid abscess

Correct answer: 2. Lymphoepithelial cysts

Explanation: Benign lymphoepithelial cysts may develop in the parotid glands on one or both sides. They arise from intraparotid lymph nodes. Diagnosis is confirmed on CT scan and fine-needle aspiration cytology.